Nitrous oxide contraindicated on patients with pnumothorax, pneumopericrdium or intestinal obstruction, because it
1. Depressess an already compromised myocarium
2. Permits the use of limited FIO2 only
3. Is less soluble than nitrogen
4. Causes the expansion of air filled body cavities

Correct answer: 4. Causes the expansion of air filled body cavities

Explanation: Refer Goodman Gilman 12/e p 547 N2O use is contraindicated in pneumothorax and volvulus because it may lead to development of High pressure in the closed cavities in the body